All of the following are true statements about Down syndrome, except:
1. Most common inheritable cause of intellectual disability
2. In quadruple test, Inhibin-A level is reduced
3. Most common cause is meiotic non-disjunction
4. In triple test (AFP |, estriol |, hcG |)

Correct answer: 2. In quadruple test, Inhibin-A level is reduced

Explanation: ANTENATAL SCREENING FOR DOWN SYNDROME: TRIPLE TEST b-hCG || Maternal Serum Alpha fetoprotein (MSAFP) || Unconjugated Estriol (uE3) || QUADRUPLE TEST b-hCG || Maternal Serum Alpha fetoprotein (MSAFP) || Unconjugated Estriol (uE3) || Dimeric Inhibin-A || OTHER OPTIONS Down syndrome is most common inheritable cause of intellectual disability- true Most common cause of Down syndrome is meiotic non-disjunction, followed by Robertsonian translocation- true